Polycythemia vera may transform into:
1. ALL
2. AML
3. CML
4. Renal cell carcinoma

Correct answer: 2. AML

Explanation: Ans. B i.e. AML Polycythemia vera It is a stem cell disorder characterized as a panhyperplastic, malignant, and neoplastic marrow disorder. The most prominent feature of this disease is an elevated absolute red blood cell mass because of uncontrolled red blood cell production. This is accompanied by increased white blood cell (myeloid) and platelet (megakaryocytic) production, which is due to an abnormal clone of the hematopoietic stem cells with increased sensitivity to the different growth factors for maturation Progression to acute myeloid leukemia/ myelodysplastic syndromes (AML/MDS) is a possible evolution of polycythemia vera (PV)